Most common diaphragmatic hernia in children is:
1. Through the foramen of Bochdalek
2. Through the foramen of Morgagni
3. Traumatic rupture of the diaphragm
4. Eventration of the diapliragm

Correct answer: 1. Through the foramen of Bochdalek

Explanation: (Through the f oramen of Bochdalek): Ref: 873 - LB (894-B & L 25th)Hernia through the foramen of Bochdolek - (Posterolateral) This is rarely the persistence of the pleuroperitoneal canal and the opening is in the dome of the diaphragm posteriorly* It is the most common diaphragmatic hernia in children* TRIAD of respiratory distress, apparent dextrocardia and a scaphoid abdomenHERNIA through the foramen of Morgagni: - (Anterolateral, retrosternal) This is an anteriorly placed hernia with the defect between the sternal and costal attachments of the diaphragm.The most commonly involved viscus is the transvere colon* Most frequent clinical presentation of congenital diaphragm hernia is respiratory distress due to severe hypoxemia